A neonate presenting with ascites is diagnosed having urinary ascites. What is the most common cause:
1. Bilateral PUJ obstruction
2. Infant polycystic kidney disease
3. Posterior urethral valve
4. Meatal stenosis

Correct answer: 3. Posterior urethral valve